Enzyme deficiency in Tarui disease is
1. Glucose-6-phosphatase
2. Muscle and erythrocyte phosphofructokinase 1
3. Lysosomal a1 - 4 and a1 - 6 glucosidase
4. Liver phosphorylase kinase

Correct answer: 2. Muscle and erythrocyte phosphofructokinase 1

Explanation: Type name Enzyme Deficiency Clinical Features VII Tarui disease Muscle and erythrocyte phosphofructokinase 1 Poor exercise tolerance Muscle glycogen abnormally high (2.5%-4%) Blood lactate very low after exercise Also hemolytic anemia Reference: Harper; 30th edition; Table: 18-2; Page no: 179